A 56-year-old lady, who is a known case of lung cancer, presents with vomiting, headache and seizures. Investigations reveal serum osmolarity of 265 mosm/L (normal is 285-295 mosm/L) and a serum sodium level of 125 mEq/L (normal value is 136-152 mEq/L). Urine osmolarity is greater than 100 mOsm/L She has normal water intake. Which of the following drugs is useful for this patient?
1. Acetazolamide
2. Hydrochlorothiazide
3. Triamterene
4. Tolvaptan

Correct answer: 4. Tolvaptan

Explanation: Hyponatremia, Hypoosmolarity and inability to form dilute urine in the fully hydrated condition with concomitant lung cancer points to suspicion of SIADH. Antagonists of ADH are used to treat SIADH Tolvaptan - It is a direct ADH receptor antagonist. It is used for the correction of water retention and hyponatremia occurring in syndrome of inappropriate ADH secretion (SIADH) as well as in advanced CHF.